Windswept deformity of the knee is seen in -
1. Osteoarthritis
2. Rheumatoid arthritis
3. Ankylosing Spondylitis
4. Psoriatic arthritis

Correct answer: 2. Rheumatoid arthritis

Explanation: Ans. is 'b' i.e., Rheumatoid arthritis Windswept deformity1. Knee:- A valgus deformity of one knee in association of varus deformity of other knee is know as windswept deformity. It is seen in: Rickets, Physeal oseochondromatosis, Hereditary dysplasia (epiphyseal dysplasia) of bone and Rheumatoid arthritis.2. Foot:- Deviation of all - toes in one direction (usually laterally) is known as windswept deformity. It is seen in Rheumatoid arthritis.3. Hand:- Deviation of all fingers (usually medialy) is know as windswept deformity. It is seen in Rheumatoid arthritis, SLE, and Jacoud's arthropathy.